Which of the following statements concerning immunoglobulins is wrong -
1. Igm does not cross placenta
2. IgE is | ed in parasitic infection
3. IgM increased in primary response
4. Fetal infection is characterised by increased in IgG

Correct answer: 4. Fetal infection is characterised by increased in IgG

Explanation: IgM antibodies do not pass across the human placenta. Demonstrating IgM antibodies in a patient's serum indicates recent infection, or in a neonate's serum indicates intrauterine infection Reff: Ananthanarayan & Parkers textbook of microbiology 9th edition pg:98